Commonest renal lesion in SLE is:
1. Focal proliferative
2. Diffuse proliferative
3. Membranous
4. Minimal change disease

Correct answer: 2. Diffuse proliferative

Explanation: b. Diffuse proliferative(Ref: Nelson's 20/e p 1176-1180, Ghai 8/e p 628)Class I is the Least common & class IV is the most common pattern of lupus nephritis.